Vinyl chloride has been implicated in -
1. Angiosarcoma of liver
2. Angiofibroma of nose
3. Hepatomas
4. Bladder cancer

Correct answer: 1. Angiosarcoma of liver